Which of the following features in liver biopsy is seen in alpha 1 antitrypsin deficiency?
1. PAS positive and diastase resistant globules are seen
2. Cirrhosis of liver
3. Mallory hyaline
4. All

Correct answer: 4. All

Explanation: Ans. is 'a' i.e., PAS positive and diastase resistant globules are seen; 'b' i.e., Cirrhosis of liver; `c' i.e., Mallory hyaline